Location of pyriformis fossa:
1. Nasopharynx
2. Oropharynx
3. Laryngeal part of pharynx
4. None

Correct answer: 3. Laryngeal part of pharynx

Explanation: Piriform fossa is a deep recess broad above and narrow below in the anterior part of lateral wall of the laryngopharynx, on each side of the laryngeal inlet.